The Limulus amebocyte lysate assay is a rapid diagnostic test used for the detection of:
1. Meningitis
2. Pneumonia
3. Septicemia
4. Endocarditis

Correct answer: 1. Meningitis

Explanation: The Limulus amebocyte lysate assay is a rapid diagnostic test for the detection of gram-negative endotoxin in CSF and thus for making a diagnosis of gram-negative bacterial meningitis. The test has a specificity of 85-100% and a sensitivity approaching 100%. Ref: Harrisons principles of internal medicine, 18th edition, Page: 2356